All are unique features of WHO growth charts 2006 EXCEPT:
1. It establishes breastfed infant as normative growth model
2. Sample collected from ten countries including India
3. Includes new indicators such as skinfold thickness
4. Reiterates children grow similarly across the World

Correct answer: 2. Sample collected from ten countries including India

Explanation: WHO growth charts- based upon MGRS (Multicentre Growth Reference Study) conducted in 6 countries across the world including India. Babies who were breastfed for at least first few months of life were included. Includes new indicators such as skinfold thickness Reiterates children grow similarly across the World